Bullous disease in which autoantibodies are formed against antigens of epidermal intercellular junctions
1. Pemphigus Vulgaris
2. Epidermolysis bullosa
3. Dermatitis herpatitis
4. Bullous pemphigoid

Correct answer: 1. Pemphigus Vulgaris

Explanation: Bulla development in pemphigus vulgaris is due to Acantholysis, this is disruption of intercellular attachment leading to intraepidermal bullae. Autoantibodies against desmosomal protein-desmoglein-3 mediate the pathogeneis.